The cranial nerve with the longest intracranial course?
1. Optic
2. Abducent
3. Trigemina
4. D i.e., Trochlear

Correct answer: 4. D i.e., Trochlear

Explanation: D i.e., Trochlear